Administration of the DPT vaccine (diphtheria toxoid, pertussis products, and tetanus toxoid) would stimulate which of the following types of immunity?
1. Adoptive
2. Artificial active
3. Artificial passive
4. Natural active

Correct answer: 2. Artificial active

Explanation: Administration of the DPT vaccine stimulates the innate immune system to produce antibody and memory cells against this mixture. Active immunity is when we produce our own antibody. Artificial refers to the fact that the stimulus was the vaccination with the antigens in question. Adoptive immunity involves the patient receiving cells from another host who had been stimulated to produce their products. Artificial passive immunity refers to the immunity produced by receiving an injection of antibody. An example is the administration of immunoglobulin directed against hepatitis A after an individual had been exposed to it. Active immunity means that we are stimulated to produce our own antibodies. The term natural active refers to the fact that we received the stimulus (antigen) by a natural means, such as exposure to the organism. Ref: Levinson W. (2012). Chapter 66. Tolerance & Autoimmune Disease. In W. Levinson (Ed), Review of Medical Microbiology & Immunology, 12e.